35 yr old lady attends gynaec OPD with excessive bleeding since 6 months, not controlled with non hormonal drugs. USG and clinical examination reveals no abnormality. Next step is?
1. Endometrial ablation
2. Endometrial sampling
3. Hysterectomy
4. Hormonal therapy

Correct answer: 2. Endometrial sampling

Explanation: Endometrial sampling is considered for those younger than 45 with chronic excess estrogen exposure (exogenous or endogenous), failed medical management, and persistent AUB Acc to ACOG, Endometrial sampling is recommended in women older than 45 years with AUB.